inhibitor of NADG-COQ reductase in electron transport chain
1. rotenone
2. phenoformin
3. carbomonoxide
4. malonate

Correct answer: 1. rotenone

Explanation: complex- nadh-coq reductase inhibited by = rotenone,phenobarbitone complex 2= malonate inhibits complex 3 = phenofromin complex 4 = cyt c oxidase inhibited by = CO/CN/H2S ref : lipincott 9th ed